Predominant constituent of Hyaline membrane disease is :
1. Albumin
2. Anthracotic pigment
3. Fibrin rich exudates
4. Phosphatidylcholine

Correct answer: 3. Fibrin rich exudates

Explanation: The membranes (in hyaline membrane disease) are largely made up of fibrinogen and fibrin admixed with cell debris derived chiefly from necrotic type-II pneumocytes. There is a remarkable paucity of neutrophilic inflammatory reaction associated with these membranes.